Male and female pelvis are differentiated by -
1. Preauricular sulcus
2. Subpubic angle
3. Pelvic brim
4. All of the above

Correct answer: 4. All of the above

Explanation: Ans. is 'd' i.e., All of the aboveo The traits used to differentiate male and female bones are - 1) In pelvis:- Preauricular sulcus, subpubic angle, pelvic brim (inlet), ischiopubic index, sciatic notch index.2) Skull:- Orbits, supraorbital ridges, external auditory meatus, occipital area, mastoid process, palate, overall general appearance, architecture.3) Mandible:- Chin (symphysis mentis), the angle of body and ramus.